During border molding, a patient asked to open the mouth wide and closed against the hand on chin, this leads to best recording of?
1. Masseteric notch
2. Buccal shelf area
3. Retromolar pad
4. Retromylohyoid fossae

Correct answer: 1. Masseteric notch